Brodie -Trendlenburg test demonstrates-
1. Mid - thigh perforation
2. Deep vein thrombosis
3. Sapheno - femoral incompetence
4. Calf perforators

Correct answer: 3. Sapheno - femoral incompetence